A community survey shows crude birth rate 23, and crude death rate 6. The demographic stage of population is -
1. High stationary
2. Early expanding
3. Late expanding
4. Low stationary

Correct answer: 3. Late expanding

Explanation: Death rate declines still further and the birth rate tend to fall in third stage of demographic cycle or late expanding stage. But the population continue to grow as births exceeds death. - India has entered this phase. Reference : Park's textbook of preventive and social medicine, 23rd edition, pg no: 479